According to JJ Act 2000, juvenile is boy and girl respectively less than:
1. 16 and 18
2. 18 and 21
3. 14 and 16
4. 18 and 18

Correct answer: 4. 18 and 18

Explanation: Ans. 18 and 18